Which of the following is a quantitative defect in globin synthesis
1. Thalassemia
2. Sickle cell hemoglobinopathy
3. G6PD deficiency
4. Diamond-Black fan syndrome

Correct answer: 1. Thalassemia

Explanation: Ans. is 'a' i.e., Thalassemia